In an epidemic of hepatitis E, infection in which of the following carries a poor prognosis:
1. Malnourished male
2. Pregnant women
3. Anaemic male
4. Postmenopausal women

Correct answer: 2. Pregnant women

Explanation: Ans: B i.e. Pregnant women Hepatitis E differs from hepatitis A in that infection during pregnancy is associated with the development of acute liver failure, which has a high mortality rates